Sensory receptors that adapt rapidly are well suited to sensing
1. The weight of an object held in the hand
2. The rate at which an extremity is being moved
3. Resting body orientation in space
4. Potentially hazardous chemicals in the environment

Correct answer: 2. The rate at which an extremity is being moved

Explanation: Rapidly adapting sensory receptors are best suited for detecting motion and change.